Epley's test is used for which of the following conditions?
1. Benign paroxysmal positional vertigo
2. Basilar migraine
3. Orthostatic hypotension
4. Thoracic outlet syndrome

Correct answer: 1. Benign paroxysmal positional vertigo

Explanation: Benign paroxysmal positional vertigo (BPPV) is characterised by vertigo when the head is placed in a certain critical position. There is no hearing loss or other neurologic symptoms. Disease is caused by a disorder of posterior semicircular canal. The condition can be treated by performing Epley's manoeuvre. The principle of this manoeuvre is to reposition the otoconial debris from the posterior semicircular canal back into the utricle.